Hormone Replacement Therapy(HRT) in postmenopausal women is beneficial in all these Except
1. Vasomotor symptoms
2. Osteoporosis
3. Prevention of CAD
4. Vaginal atrophy

Correct answer: 3. Prevention of CAD

Explanation: Hormone Replacement TherapyEstrogen is the most effective treatment available for relief of the menopausal symptoms that many women experience, including hot flashes, vaginal dryness, urinary symptoms, and emotional lability.Women's Health Initiative showed no cardiovascular benefit with unopposed estrogen and a smallincrease in risk with combined therapy.Estrogen is an option for the prevention of osteoporosis inperimenopausal women, estrogen-progesterone therapy reduces fracture risk at a cost of increase in the incidence of breast cancer, coronary heart disease, stroke and venous thromboembolism, or in the case unopposed estrogen, an increase in stroke and thromboembolism.Post-menopausal hormone therapy, either unopposed estrogen or combined estrogen-progestin therapy should not be initiated for prevention of CHD.Bisphosphonates or raloxifene are recommended as first-line drugs for prevention and bisphosphonates for treatment of established osteoporosis.(Refer: Novak's Textbook of Gynaecology, 14th edition, pg no- 1330-1333)